The characteristic feature of benign nephrosclerosis is
1. Leather grain appearance
2. Flea bitten kidney
3. Onion skin appearance
4. Hyperplastic arteriosclerosis

Correct answer: 1. Leather grain appearance

Explanation: Benign nephrosclerosis Malignant nephrosclerosisAge group Elderly Younger individuals Gross Grain leather appearance-Fine granularity over cortical surfaceFlea bitten appearance-Pinpoint petechial hemorrhage over cortical surfaceMicroscopyHyaline arteriosclerosis, subcapsular scars Fibrinoid necrosis and onion skinning appearance of arteriolesClinical features Mild proteinuria. GFR normal Renal failure, BP >200/120,papilloedema, retinal hemorrhages and encephalopathy (Ref: Robbins 8/e p949)